The medullary index of a human hair is
1. 0.2
2. 0.4
3. 0.5
4. 0.6

Correct answer: 1. 0.2

Explanation: Human hair Animal hair Fine thin Coarse & thick Cuticular scales are short, not continuous Cuticular scales are large, step like projections Cortex thick (4-10 times as broad as medulla) Cortex thin Pigment more towards the periphery Pigment more towards the medulla Medulla thin & fragmented, sometimes absent Medulla broad, continuous & always present. Medullary index <0.3 Medullary index > 0.5 Precipitin test specific for human Precipitin test specific for animal